Flushing is common in patient taking which of the following oral hypoglycemic drug with alcohol:
1. Chlorpropamide
2. Phenformin
3. Glibenclamide
4. Tolazamide

Correct answer: 1. Chlorpropamide